Akathasia is?
1. Increase sense of restlessness and anxiety
2. Buco-linguo-masticatory triad
3. Involuntary distal movement
4. Increase sensation of worthlessness and anxiety

Correct answer: 1. Increase sense of restlessness and anxiety

Explanation: Ans. (a) Increase sense of restlessness and anxiety